Psoriasis Vulgaris is associated with
1. HLA Cw6
2. HLA B27
3. HLA B51
4. HLA DR4

Correct answer: 1. HLA Cw6

Explanation: Psoriasis Vulgaris is associated with HLA-Cw6 Behcet's disease with HLA-B51, and, spondyloarthritides with HLA-B27. Significant HLA Class I and Class II Associations with Disease Spondyloarthritides Ankylosing spondylitis Reactive arthritis (Reiter's) Acute anterior uveitis Reactive arthritis (Yersinia, Salmonella, Shigella, Chlamydia) Psoriatic spondylitis B27 Collagen-Vascular Diseases Juvenile arthritis, pauciarticular DR8, DR5 Rheumatoid arthritis DR4 Sjogren's syndrome DR3 Systemic lupus erythematosus DR3 DR2 Autoimmune Gut and Skin Gluten-sensitive enteropathy (celiac disease) DQ2 Chronic active hepatitis DR3 Dermatitis herpetiformis DR3 Psoriasis Vulgaris Cw6 Pemphigus Vulgaris DR4 DQ1 Bullous pemphigoid variant DQ7 Autoimmune Endocrine Type 1 diabetes mellitus DQ8 DR4 DR3 DR2 (Strong negative association, i.e., genetic association with protection from diabetes) Hyperthyroidism (Graves') B8 DR3 Hyperthyroidism (Japanese) B35 Adrenal insufficiency DR3 Autoimmune Neurologic Myasthenia gravis B8 Multiple sclerosis DR2 Other Behcet's disease B51 Congenital adrenal hyperplasia B47 Narcolepsy DR2 Goodpasture's syndrome (anti-GBM) DR2 Abacavir hypersensitivity B57 Ref: Harrison 19e pg: 373e-8